Which one of the following drugs does not undergo the hepatic first-pass effect:
1. Propanolol
2. Lidocaine
3. Insulin
4. Morphine

Correct answer: 3. Insulin